The symptoms of Hyperparathyroidism include -
1. Constipation & muscle weakness
2. Anorexia & weight loss
3. Polydipsia & polyuria
4. All of the above

Correct answer: 4. All of the above